Nutrient which is lost maximum in polished rice-
1. Proteins
2. Thiamine
3. Ascorbic acid
4. Calcitriol

Correct answer: 2. Thiamine

Explanation: Ans. is 'b' i.e.. Thiamine Effect of milling on riceo The milling process deprives the rice grain of its valuable nutritive elements.o The losses may be : -ThiamineRiboflavin and NiacinProtein- up to 75 %- upto 69%- upto 15%o People subsisting mainly on white or polished rice are prone to beri-beri. the best known deficiency disease in rice eaters.o To avoid this parboiling is recommended.Parboilingo Parboiling (partial cooking in steam) is technique of preserving the nutritive value of rice,o In parboiling, greater parts of vitamins and minerals present in outer layer of the rice grain are driven into the deepar layers.o With subsequent milling the nutrient are not removed.